Palate is formed from:
1. Median palatine process
2. Lateral palatine process
3. Both (1) and (2)
4. Either (1) or (2)

Correct answer: 3. Both (1) and (2)